LAP score is decreased in which of the following conditions ?
1. Polycythemia vera
2. CML
3. Myelofibrois
4. AML

Correct answer: 2. CML

Explanation: LAP score is decreased in CML and PNH.